The iron preparation that can be given intravenously is ?
1. Ferrous sulphate
2. Iron dextran
3. Iron sorbitol citric acid complex
4. Colloidal ferric hydroxide

Correct answer: 2. Iron dextran

Explanation: Ans. is 'b' i.e., Iron dextran